Most common joint involved in gout is ?
1. Knee
2. Hip
3. MP joint of great toe
4. MP joint of thumb

Correct answer: 3. MP joint of great toe

Explanation: Ans. is 'c' i.e., MP joint of great toe Gout is the common end point of a group of disorders that produce hyperuricemia. It is marked by transient attacks of acute arthritis intitiated by crystallization of monosodium urate into the joints, leading eventually to chronic gouty arthritis and deposition of masses of urates in joints and other sites, creating tophi. Most common joint involved in gout is big toe, i.e. metatarsophalangeal joint of great toe. Tophi are pathognomic of gout. They are formed by large aggregations of urate crystals. The urate crystals are surrounded by -